High titers of which of the following are considered to be highly specific for Systemic lupus erythematosus (SLE)?
1. Anti dsDNA
2. Anti Jo-1
3. Anti SS-A
4. Anti SS-B

Correct answer: 1. Anti dsDNA

Explanation: A wide variety of autoantibodies can be seen in systemic lupus erythematosus, including all of those listed. However, high titers of anti-double-stranded DNA and anti-Sm (not listed above) are considered to be the most specific for systemic lupus erythematosus. MUST KNOW: Anti-Jo-1 is associated with inflammatory myopathies. Anti SS-A and anti-SS-B are associated with Sjogren syndrome. Ref: Costner M.I., Sontheimer R.D. (2012). Chapter 155. Lupus Erythematosus. In L.A. Goldsmith, S.I. Katz, B.A. Gilchrest, A.S. Paller, D.J. Leffell, N.A. Dallas (Eds), Fitzpatrick's Dermatology in General Medicine, 8e.